Which of the following statements is/are true about diaphragm:
1. Left side pushed down by heart
2. Left side lower than right side
3. Right side pushed up by liver
4. All

Correct answer: 4. All

Explanation: B i.e. Left side lower than right side; A i.e. Left side pushed down by heart; C i.e. Right side pushed up by liver